Occlusion of Artery of Adamkiewicz leads to infarction of which of the following structures?
1. Spleen
2. Myocardium
3. Spinal cord
4. Internal capsule

Correct answer: 3. Spinal cord

Explanation: Also called as Arteria radicularis magna- supplies the anterior spinal artery, can arise from Subcostal, Posterior intercostal or lumbar arteries. Occlusion commonly occurs during surgery for thoracoabdominal aneurysms which leads to spinal cord infarction and paraplegia